Erythropoietin is secreted by:
1. Cortical interstitial cells
2. Cells in macula densa
3. Granular cells
4. Mesangial cells

Correct answer: 1. Cortical interstitial cells

Explanation: JG apparatus Cells in macula densa Granular cells/ JG cells Mesangial cells Senses Na+ & Cl- in tubular fluids & initiate tubuloglomerular feedback. Synthesis & secrete renin Cells that can alternate the vessel diameter. Type I Cortical interstitial cells : synthesize erythropoietin